Which of the following alcoholic metabolite, after metabolizing in liver causes flushing in Asian population and native Americans
1. Acetone
2. Acetaldehyde
3. Methanol
4. Formaldehyde

Correct answer: 2. Acetaldehyde

Explanation: Ans: B (Acetaldehyde) Ref: Harper, 25th p.279Some Asian populations and native Americans following alcohol consumption are prone to increased adverse reactions to acetaldehyde owing to a genetic defect of mitochondrial aldehyde dehydrogenase.This was a direct pick from Harper.